In a macerated baby, ideal sample for genetic analysis is obtained from:
1. Clotted fetal blood
2. Placental Tissue
3. Fibroblast from skin
4. Fibroblast from Achiles tendon

Correct answer: 2. Placental Tissue

Explanation: Ref: Derom C et al. Genotyping of macerated stillborn fetuses. Am J Obstet Gynecol. 1991 Mar: 164(3): 797- 800. & http://www2. marshfieldclinic.org/wissp/commonly.htmExplanation:* It is generally impossible to collect blood or to culture tissue from a macerated stillborn fetus. Accurate genotyping of such a fetus may. however, be critical for the diagnosis of genetic diseases and appropriate genetic counselling.It is particularly important to sample fetal placenta under those circumstances since these cells tend to survive longer after fetal death.Placental tissue is an ideal sampling site in a macerated fetus.Maceration:It is a process of aseptic autolysis.This occurs when the dead fetus remains in utero for about 3-4 days surrounded by amniotic fluid without air.Signs of maceration are not seen if child is born within 24 hours after death.If air enters the amniotic fluid after the death of fetus, putrefaction occurs instead of maceration.The earliest sign of maceration - Skin slippage (Seen after 12 hours of death of child).Spalding's Sign:Loss of alignment and overriding of the bones of the cranial vault occurs due to shrinkage of the cerebrum after death of the fetus.In early stage, there is only loss of alignment without overriding.This sign develops earlier with vertex presentation.